For Status epilepticus, treatment of choice is:
1. Ethosuximide
2. Sodium valproate
3. Lamotrigine
4. Lorazepam

Correct answer: 4. Lorazepam

Explanation: Ans. D i.e. Lorazepam